Treatment of a 6-year-old child with recurrent URTI, mouth breathing, failure to grow with high arched palate and impaired hearing is
1. Tonsillectomy
2. Grommet insertion
3. Myringotomy with grommet insertion
4. Adenoidectomy with grommet insertion

Correct answer: 4. Adenoidectomy with grommet insertion

Explanation: Mouth breathing with recurrent URTI suggest adenoid hyperplasia, treatment is adenoidectomy. Hearing impairment and the option of myringotomy and grommet insertion suggests the patient is also suffering from serious otitis media (glue ear/secretory otitis media), which is one of the complications of adenoid hyperplasia. Treatment of glue ear requires myringotomy and grommet insertion. Ref: Textbook of disease of ENT, PL Dhingra,7th edition; pg no: 70